Phoenix abscess is
1. Reversible pulpits.
2. Acute apical periodontitis
3. Acute exacerbation of an existing chronic inflammation
4. Chronic abscess

Correct answer: 3. Acute exacerbation of an existing chronic inflammation